Uncinate process is a part of which bone
1. Nasal
2. Ethmoid
3. Maxilla
4. Frontal

Correct answer: 2. Ethmoid

Explanation: In the ethmoid bone, a curved lamina, the uncinate process, projects downward and backward from this part of the labyrinth; it forms a small part of the medial wall of the maxillary sinus, and articulates with the ethmoidal process of the inferior nasal concha. Ref - medscape.com